Granulosa cell tumour secretes:
1. Progesterone
2. Oestrogen
3. hCG
4. Calcitonin

Correct answer: 2. Oestrogen

Explanation: (Oestrogens): Ref: 362-S (339-40-S14th)GRANULOSA CELL TUMOURS* Common in women over 40 years in 80%* The main clinical features depends upon the oestrogenic activity of the tumour and only the larger ones causes pain and abdominal swelling, Feminizing tumours secrete oestrogens* Call - Exner bodies (arrangement of the cells into "rosettes ")* Most granulosa cell tumours are encapsulated and appear to be clinically benign* Strong evidence that association of carcinoma of the endometrium with granulosa cell tumours. Theca cell tumours more commonly involved* Androgens are elevated in Arrhenoblastoma* HCG elevated in Theca lutein cyst, Malignant teratoma